Extra-articular manifestations of RA -
1. Scleritis
2. Pericarditis
3. Pulmonary fibrosis
4. All

Correct answer: 4. All

Explanation: Although Rheumatoid arthritis is a symmetric polyarticular arthritis there are also many extra articular manifestations like scleritis, pericarditis, and pulmonary fibrosis etc. The clinical features of Rheumatoid arthritis is highly variable. Ref: Robbins basic pathology 9th edition page no 785,786